Obsessive personality disorder is also called:
1. Anankastic personality disorder
2. Dissocial personality disorder
3. Eccentric personality disorder
4. Histrionic personality disorder

Correct answer: 1. Anankastic personality disorder

Explanation: Obsessive-compulsive personality disorder (OCPD), as defined by the current version of DSM-5, and termedanankastic personality disorder in the ICD-10. Pre occupation with rules and regulations Perfection that slows them down Stubborn and inflexible Important to work, no time for leisure activities Formal, don't like humor No obsessions or compulsions